During the cardiac cycle the opening of the aortic valve takes place at the
1. Beginning of systole
2. End of isovolumetric contraction
3. End of diastole
4. End of diastasis

Correct answer: 2. End of isovolumetric contraction

Explanation: Ans. (b) End of isovolumetric contractionRef: Ganong, 25th ed/p.540Isovolumetric contraction#To eject blood into aorta and pulmonary artery, ventricles must open aortic and pulmonary valve#The sole purpose of this phase is to open these valves#The ventricle contracts against the closed valves (both AV valves and semilunar valves are closed)#This means that ventricular blood volume won't change (isovolumetric) but the pressure generated by the ventricle tremendously rises.#Once the pressure rises above 80 mm Hg, aortic valve opens. Similar changes also happen in right ventricle which opens the pulmonary valve